Which of the following statements is/are true about ostium secundum ASD
1. Fixed splitting of 2nd heart sound
2. Narrow splitting of 2nd heart sound
3. Lt axis deviation in ECG
4. Shunt murmur prominent

Correct answer: 1. Fixed splitting of 2nd heart sound

Explanation: Ostium secundum ASD characterized by wide fixed split second heart sound,ejection systolic murmur in pulmonary area,shunt murmur will be absent. ECG shows right axis deviation & right ventricular hypertrophy. Ref : Ghai essential of pediatrics, 8th edition, p.no:413